Which is not a content of inguinal canal ?
1. Spermatic cord
2. Ilioinguinal nerve
3. Genital branch of genitofemoral nerve
4. Inferior epigastric artery

Correct answer: 4. Inferior epigastric artery

Explanation: Ans. is 'd' i.e., Inferior epigastric artery Contents of inguinal canal Spermatic cord in male or round ligament of uterus in female. Ilioinguinal nerve : It enters through the interval between external and internal oblique muscles. Genital branch of genitofemoral nerve is a constituent of spermatic cord.